Eagle syndrome is also known as -
1. Styalgia
2. Ludwig's Angina
3. Pharyngeal bursitis
4. Amourosis

Correct answer: 1. Styalgia

Explanation: Ans. is 'a' i.e., Styalgia StyalgiaChronic throat pain along the anatomic course of thyrohyoid ligament.It is also called Eagle's syndromeIt is related to unrecognised elongation of styloid process, a clacified stylohoid ligament, or stylohyoid muscle tendinitis.Elongated styloid process protrudes into the tonsillar fossa and puts pressure on the trigeminal, glossopharyngeal,vagus or facial nerves.